Best indicator for growth measurement is -
1. Height
2. Weight in microgram
3. Arm circumference
4. None

Correct answer: 2. Weight in microgram

Explanation: Weight is the most sensitive measure of growth. REF. PARK'S TEXTBOOK OF PREVENTIVE AND SOCIAL MEDICAL 21ST EDITION. PAGE NO - 502